All of the following conditions are associated with an early systolic murmur, EXCEPT:
1. Aortic stenosis
2. Tricuspid regurgitation
3. Papillary muscle dysfunction
4. Small ventricular septal defect

Correct answer: 1. Aortic stenosis

Explanation: Aortic stenosis